Kayser-Fleischer ring is pathognomonic of:
1. Keratoconus
2. Wilson's disease
3. Lowe's syndrome
4. All of the above

Correct answer: 2. Wilson's disease

Explanation: Ans. Wilson's disease